All are TRUE about hyperparathyroidism, except -
1. Commonly occurs after thyroidectomy
2. May cause hypercalcemia
3. Solitary adenoma is the most common cause
4. None of the above

Correct answer: 1. Commonly occurs after thyroidectomy

Explanation: Thyroid crisis or storm -
 It is a rare disorder nowadays 
It is an extreme form of thyrotoxicosis which is precipitated by stressful illness, thyroid surgery or Radioiodine administration.
 It presents with symptoms of thyrotoxicosis which are -
 Severe tachycardia, Arrhythmias
 Marked delirium
 Vomiting
 Diarrhoea
Dehydration
 High fever
 The mortality rate is very high.